Irreversible pulpitis leads to:
1. Coagulative necrosis.
2. Liquefaction necrosis.
3. Caseous necrosis.
4. All of the above.

Correct answer: 2. Liquefaction necrosis.

Explanation: Pulpal Necrosis
As stated before, pulp is encased in rigid walls, it has no collateral blood circulation, and its venules and lymphatics collapse under increased tissue pressure. Therefore irreversible pulpitis leads to liquefaction necrosis